b-blockers act in glaucoma by -
1. Decreased aqueous production
2. Increased aqueous outflow
3. Reduce vitreous volume
4. None

Correct answer: 1. Decreased aqueous production

Explanation: Ans. is 'a' i.e., Decreased aqueous production Mechanism of action of pharmacological agents in POAGAgentMechanism of actiono b-blocker (Timolol. Betaxolol, levobunolol, carteolol)o Decreased aqueous secretion from ciliary epitheliumo Prostaglandins (latanoprost, bimatoprost, travoprost)o Increased uveosclerai aqueous outflowo Alpha agonists # Non-selective (Epinephrine, Dipivefrine)# Selective a-2 (Aprocionidine, Brimonidme)Increased uveosclerai aqueous outflow.Decreased aqueous secretiono Carbonic anhydrase inhibitors (Dorzolamide, Brinzolamide, Acetazolamide)o Decreased aqueous secretion due to lack of HCOt"o Cholinomimetics (Pilocarpine, physostigmine. carbachot, echothiphate)o Increased aqueous outflow due to opening of trabecular meshwork due to ciliary muscle contractiono Hyperosmotic agents (Mannitol, glycerol)o Reduce vitreous volume and deepen anterior chamber